Ganga Ram a 19 years old male with a short history of pain in the right groin that worsens at night time and has a small circumscribed sclerotic swelling over diaphysis of femur. Likely diagnosis is:
1. Osteoclastoma
2. Osteosarcoma
3. Ewing's sarcoma
4. Osteoid osteoma

Correct answer: 4. Osteoid osteoma

Explanation: Osteoid Osteoma - Night pain relieved on taking salicylates (NSAID) - Cortical tumor "thickened cortex" (CT) - In diaphysis shows Nidus- Lytic center with sclerotic margin Rx: Radio-frequency Ablation -Preferred X-ray CT scan